Slow wave sleep associated with
1. Dreams
2. Cardiac arrhythmia
3. Penile intumescence
4. Delta activity

Correct answer: 4. Delta activity

Explanation: Slow wave sleep events (Stage 3 & 4 NREM)
-        Somnambulism
-        Night terrors
-        Nocturnal enuresis
-        Bruxism
-        Sleep talking
-        Delta rhythm- Deep sleep (Stage 3 & 4 NREM)